Drug of choice for nodulocystic acne is:
1. Tetracyclines
2. Azithromycin
3. Isotretioin
4. Corticosteroids

Correct answer: 3. Isotretioin

Explanation: Nodulocystic acne / grade IV acne- DOC- Isotretinoin. Isotretinoin- 13 cis isomer of retinoic acid Dose :0.5-1mg/kg/ k/bwt Max cumulative dose: 120-150mg/kg/bwt